Iris pearl are seen in -
1. Leprosy
2. Tuberculosis
3. Sarcoidosis
4. Cat Scratch disease

Correct answer: 1. Leprosy

Explanation: Lepromatous uveitis may occur as acute iritis (non-granulomatous) or chronic iritis (granulomatous). Acute iritis : caused by antigen-antibody deposition and is characterised by severe exudative reaction. Chronic granulomatous iritis : it occurs due to direct organismal invasion and is characterised by presence of small glistening iris pearls near the pupillary margin in a necklace form; small pearles enlarge and coelesce to form large pearles. Ref:A K Khurana 6th edition pg:164